Which of the following is not true about diabetes mellitus?
1. Free fatty acids in the blood increase the risk of DM
2. Patients may have high insulin levels in some conditions
3. Commonest cause of death is renal failure
4. Regular physical activity improves the glycemic control

Correct answer: 3. Commonest cause of death is renal failure

Explanation: - Cardiovascular disease is commonest cause of death in diabetics OTHER OPTIONS: - Insulin deficiency leads to activation of hormone-sensitive lipase resulting in breakdown of adipose stores, giving rise to increased FFAs, which are oxidized by liver to produce ketones. - Beta cell function actually increases early in disease process in most patients with type 2 diabetes, mainly as a compensatory measure to counter insulin resistance & maintain euglycemia. - Regular physical activity improves the glycemic control by improving the insulin sensitivity & HbA1C levels.